What is the most common site of Gastrinoma in MEN-1 Syndrome?
1. Stomach
2. Duodenum
3. Jejunum
4. Ileum

Correct answer: 2. Duodenum

Explanation: NET of Pancreas Tumor MC site Gastrinoma Duodenum (1st part)>Pancreas Insulinoma Equally distributed in head, body and tail Glucagonoma Body and Tail of pancreas Somatostatinoma and PPoma Head of pancreas VIPoma Tail of pancreas